A child suffering from acute diarrhoea is brought to the casualty and is diagnosed as having severe dehydration with pH of 7.23. Serum Na-125, Serum K-3, HCO3- 16 The best I.V. fluid of choice is ?
1. 3% Saline
2. N/3 Saline + 10% dextrose
3. Normal saline
4. N/3 saline + 5% dextrose

Correct answer: 3. Normal saline

Explanation: Ans. is 'c' i.e., Normal saline Fluid used in severe dehydration o Best IV fluid for severe dehydration is Ringer's lactate. o An ideal preparation would be Ringer's lactate with 5% added dextrose, However, it is not available. o If Ringer's lactate is not available, normal saline solution (0.9% NaCI) can be used.